A child with a unilateral white reflex raised IOP. The required investigations are:
1. USG
2. Observation under anesthesia
3. Tonometry
4. All

Correct answer: 4. All

Explanation: ALL Investigations for Leucocoria - Examination under anaesthesia X Ray-orbit, UltrasoundQ, CT scan to look for calcification size, and extent of tumor MRI to rule out ectopic intracranial retinoblastoma & optic nerve involvement. LDH level is raised in aqueous Measurement of IOP by Tonometry Distant metastasis is suspected by CSF examination (lumbar puncture), bone /liver/spleen scan, bone marrow aspiration biopsy etc